Most prominent spinous process is of which vertebra?
1. C6
2. C7
3. L1
4. T12

Correct answer: 2. C7

Explanation: Ans. b (C7). (Ref. BD Chaurasia, Anatomy, Vol 3, 2nd/pg.35)Importance of certain cervical vertebral levelCs-C6Most common disc space reduced in cervical spondylosis.C6has prominent bony tubercle called Chassaignae's tubercle at the level of cricoid cartilage (a level where trachea ends).C7is also known as vertebra prominence as it has most prominent and long spinous process among the all-cervical vertebrae, and the tip of which can be felt on palpation just below the nape of the neck.C7 spinous process tip give attachment to following structures:- Ligamentum nuchae- Rhomboidus minor- Serratus posterior- Semispinalis, and- Trapezius- Interspinalis- Splenius capitis- Spinalis cervicis